Pyle's disease has,
1. Epiphyseal dysplasia
2. Metaphyseal dysplasia
3. Diaphyseal dysplasia
4. Sclerosis of cortex

Correct answer: 2. Metaphyseal dysplasia

Explanation: Pyle's disease has - Metaphyseal dysplasia.
Engelmann's disease has - Diaphyseal dysplasia.